A lady has taken medication for amoebiasis infection. She drank alcohol in a party. She has nausea vomiting and dizziness. Which anti-amoebic drug could have led to interaction with alcohol to produce these symptoms?
1. Metronidazole
2. Nitazoxanide
3. Paromomycin
4. Diloxanide

Correct answer: 1. Metronidazole

Explanation: ABOVE symptoms are due to Disulfiram like reaction caused by interaction of Alcohol and Metronidazole Drugs showing disulfiram like reaction with alcohol are: C- -Cefamandole, Cefoperazone, Cefotetan, Chlorpropamide G-Griseofulvin, M-Moxalactam, Metronidazole P-Procarbazine Mnemonic- Cyclic G M P Various side effects seen due to interaction alcohol and metronidazole drugs are - face flushing-m/c Seen abdominal pain cramps nausea and vomiting headaches Sudden drop in blood pressure, rapid heart rate, and liver damage.